Differentiation of N. gonorrhea and N. meningitidis can be done by -
1. Glucose fermentation
2. V. P. Reaction
3. Maltose fermentation
4. Indole test

Correct answer: 3. Maltose fermentation